A transaction at midpons level with intact vagi leads to
1. Apneusis
2. Rapid, shallow breathing
3. Deep breathing
4. Hyperventilation

Correct answer: 3. Deep breathing

Explanation: OSection A: Above pons: Normal tidal respiration but voluntary control is lost. If vagus also cut then slow & deep breathing because vagus inhibits apneustic center. OSection B: At Mid pons: loss of inhibitory action of pneumotaxic center on apneustic center there is stimulation of inspiratory neurons by apneustic resulting in slow and deep breathing. If vagus also cut then APNEUSIS. OSection C: Between Pons & Medulla: Spontaneous respiration continues, although somewhat irregular and gasping because respiration is produced by medulla but made rhythmic & regular by pontine centers. Section D: Below medulla: No respiration.